Oral, ocular and genital lesions are seen in:
1. Erythema multiforma
2. Stevens-Johnson syndrome
3. SLE
4. None of the above

Correct answer: 2. Stevens-Johnson syndrome